Perihilar fluffy opacities on chest X-ray is seen in –
1. Sarcoidosis
2. Pulmonary edema
3. Silicosis
4. Lung carcinoma

Correct answer: 2. Pulmonary edema

Explanation: Fluffy perihilar opacities projecting into lung parenchyma is seen in pulmonary edema which gives "Bat-wing" appearance.